The most appropriate technique for mammography is:
1. Spot Compression view
2. Medial lateral oblique view
3. Lateral view
4. Medilateral view

Correct answer: 2. Medial lateral oblique view

Explanation: Ans. (b) Medio lateral oblique viewRef: Harrison 19th ed. / 525There are numerous mammography views that can broadly be split into two groups* Standard views- Medio-Lateral, Medio-lateral oblique, Craniocaudal* Supplementary views - Additional information or problem solving# The mediolateral oblique (MLO) view is one of standard mammographic views. It is the most important projection as it allows to depict most breast tissue.# The Mediolateral view loses significant tissue volume in the upper outer quadrant of the breast where statistically the most breast cancers are found. By doing an MLO view you get extra tissue without extra exposure.